Jenne syndrome is -
1. AR
2. AD
3. XR
4. XD

Correct answer: 1. AR

Explanation: Ans. is 'a' i.e., AR o Jeune syndrome, also called asphyxiating thoracic dysplasia, is a rare autosomol recessive condition characterized by skeletal abnormalities, along with renal, hepatic and pancreatic abnormalities.